Radiological investigation in a female of reproductive age sould be restricted to :
1. Period of mestruation
2. First 10 days of menstual cycle
3. Last 10 days of menstrual cycle
4. 10th to 20th day of ccle

Correct answer: 2. First 10 days of menstual cycle

Explanation: First 10 days of menstual cycle